A patient with leukemia on chemotherapy develops acute right lower abdominal pain associated with anemia, thrombocytopenia and leukopenia. Which of following is the clinical diagnosis
1. Appendictis
2. Leukemic colitis
3. Perforation peritonitis
4. Neutropenic colitis

Correct answer: 4. Neutropenic colitis

Explanation: Neutropenic colitis is the inflammation and necrosis of the cecum and surrounding tissues complicating the treatment of acute leukaemia.It may involve any part of the gastrointestinal tract.This is also seen in other forms of cancer treated with taxanes and other high dose chemotherapy.The patient develops right lower quadrant pain, rebound tenderness, tense distended abdomen in the setting of fever and neutropenia.Pneumatosis intestinalis is a specific finding seen in those with neutropenic colitis and ischemia.Rapid institution of antibiotics and nasogastric suction reverse the process.Surgical intervention is reserved for severe cases with evidence of perforation, peritonitis, gangrene, or GI haemorrhage(Ref: Harrison's 18/e 2276)